Tumour associated with primary aldosteronism -
1. Adrenal adenoma
2. Adrenal hyperplasia
3. Von Hippel-Lindau syndrome
4. Adrenal carcinoma

Correct answer: 1. Adrenal adenoma

Explanation: in most cases involve unilateral adenoma which is usually smart and may occur on either side( Harrison 17 pg 2260 )